Cause of ITP is-
1. Vasculitis
2. Antibody to vascular epithelium
3. Antibody to platelets
4. Antibody to clotting factors

Correct answer: 3. Antibody to platelets

Explanation: Ans. is 'c' antibody to platelets * There are 3 clinical subtypes of idiopathic thrombocytopenic purpura. In all of the three forms destruction of platelets is seen and the important point is that the destruction occurs by the same mechanism i.e. by formation of antibody against platelet